District health officer visited local general stores in Gujranwala District. He found certain substandard products, Turmeric was found to be containing lead chromate powder and Coriander, cow dung. He reported to the health authorities that the foods in Gujranwala district are
1. Adulterated
2. Fortified
3. Intoxicated
4. Infected

Correct answer: 1. Adulterated